Best uterine relaxation is seen with:
1. Chloroform
2. Nitrous oxide
3. Ether
4. Halothane

Correct answer: 4. Halothane

Explanation: Halothane inhibit intestinal and uterine contractions. This property is used for facilitating external or internal version during late pregnancy. However it's use during labour can prolong delivery bad increase postpartal blood loss. Muscle relaxation is minimal with nitrous oxide. Rest of the drugs donot have uterine contractions as a property. From KD Tripati 7th edition Page no 378,379